Temporary hardness of water is due to the presence of following salts of calcium and magnesium:
1. Bicarbonates
2. Sulphates
3. Chlorides
4. Nitrates

Correct answer: 1. Bicarbonates